Finnish type of nephrotic syndrome is associated with mutations of which of the following?
1. Nephrin
2. Podocin
3. Alpha actinin
4. CD2 activated protein

Correct answer: 1. Nephrin

Explanation: NPHS1 gene mutations = Congenital nephrotic syndrome of the Finnish type, producing a minimal-change disease like glomerulopathy with extensive foot process effacement. NPHS1 is located on chromosome 19q13 and encodes the protein nephrin.